RET proto oncogene is located on which chromosome:
1. 9
2. 10
3. 11
4. 12

Correct answer: 2. 10

Explanation: b. 10(Ref: Nelson's 20/e p 595)Important genes and their chromosomal location:Gene (Associated diseases)Chromosomal locationRb (Retinoblastoma)13q14.3p53 (Li-Fraumeni syndrome, sarcomas)17q13.1APC (Carcinoma Colon)5q21NF1 (Neurofibromatosis 1)17q11NF2 (Neurofibromatosis 2)22p12WT1 (Wilm's tumor)11p13RET (MEN2 syndrome)10q